Sedimentation coefficient of Ig E is:
1. 7S
2. 8S
3. 11S
4. 20 S

Correct answer: 2. 8S

Explanation: Ans : b 8S Ref: Ananthanarayanan 8th editionSvedberg unit - a sedimentation constant of 1 x 1013sec. Sedimentation unit is studied by ultracentrifugation - for diversity of antibody moleculeIgG -7IgA -7IgM -19Ig D -7IgE -8